All of the following factors contribute to Resurgence of malaria, except:
1. Drug Resistance in host
2. Drug Resistance in parasite
3. Drug Resistance in vectors
4. Antigenic variations in parasite

Correct answer: 1. Drug Resistance in host

Explanation: Drug resistance in the host does not contribute to Resurgence of malaria, whereas Drug resistance in vectors and parasites and antigenic variations in parasites leads to resugence of malaria. Ref: The Anthropology of Infectious Disease : International Health Perspectives By Marcia Claire Inhorn, Peter J. Brown, Pages 119-127; Medical Disorders in Pregnancy : An Update By Hiralal Konar, Pralhad Kushtagi, Page 77.